Which of the following fracture is associated with high mortality and morbidity?
1. Femur shaft fractures
2. Pelviacetabular fractures
3. Subtrochanteric fractures
4. Shaft tibia fractures

Correct answer: 2. Pelviacetabular fractures

Explanation: Pelviacetabular fractures are associated with high morbidity and mortality because: *They are caused by high velocity injuries. *They can have associated compound fractures along. *There is significant blood loss present usually. Ref: campbell's 12th/e pg.2777